Muscle involved in the closing of jaw are all except
1. Masseter
2. Mylohyoid
3. Temporalis
4. Medial pterygoid

Correct answer: 2. Mylohyoid

Explanation: The muscles of mastication are 1. Masseter 2.temporalis 3. Lateral pterygoid 4.medial pterygoid The muscles of mastication move the mandible during mastication and speech. they develop from the mesoderm of the first branchial arch and are supplied by the mandibular nerve which is the nerve of that arch. Ref BDC volume 3: 6th edition pg 115